MARTEL'S sign is seen in
1. Gout
2. SLE
3. Takayasu
4. Kawasaki disease

Correct answer: 1. Gout

Explanation: Ans. A. GoutCystic changes, well-defined erosions with sclerotic margins (often with overhanging bony edges), and soft tissue masses are characteristic radiographic features of advanced chronic tophaceous gout. Martel sign sharply marginated bony erosions from a long standing soft tissue tophus in patient with gout.